Which of the following has highest potential to cause metabolic syndrome?
1. Clozapine
2. Risperidone
3. Quetiapine
4. Aripiprazole

Correct answer: 1. Clozapine

Explanation: Metabolic complication like weight gain, hyperlipidemia and precipitation of diabetes is a major limitation. Other given drugs donot cause metabolic syndrome. Ref KD TRIPATI 8TH ED.